20 year old male presents with behavioral disturbances, extrapyramidal symptoms and liver damage. Diagnosis?
1. Wilson's disease
2. Huntington's disease
3. Parkinson's disease
4. Hemochromatosis

Correct answer: 1. Wilson's disease

Explanation: Davidson's principles. #In Wilson's disease the organs more affected are liver,basal ganglia,eyes, kidney ,skeleton. *Hepatic disease occurs predominantly in childhood and early adolescents.Neurological damage caused nasal ganglia syndromes and dementia .